A child has Adenoidectomy done but he has effusion in middle ear. What is done next:
1. Grommet insertion
2. Mastoidectomy
3. Tympanoplasty
4. None

Correct answer: 1. Grommet insertion

Explanation: (a) Grommet insertion(Ref. Scott Brown, 8th ed., Vol 2; 125)Since Eustachian tube function takes time to come back to normal Myringotomy with grommet should have been done along with adenoidectomy in the mentioned child.